Loading drug of dose primaraly depends on
1. Volume of distribution
2. Clearance
3. Rate of administration
4. Half life

Correct answer: 1. Volume of distribution

Explanation: Loading dose; This is a single or few quickly repeated doses given in the beginning to attain target concentration rapidly. Loading dose =Target Cp * V /F Cp-concentration, V - the volume of distribution, F-oral bioavailabilityThus, the loading dose is governed only by V and not by Clearance or t1/2 Ref ; KD Tripathi Pharmacology 7th edition (page no;33)